Inclusions in oligodendrogliocytes is a feature of:
1. Polio
2. Multiple sclerosis
3. HSV
4. Progressive multiple encephalopathy

Correct answer: 4. Progressive multiple encephalopathy

Explanation: Ans. D. Progressive multiple encephalopathyProgressive Multifocal Leukoencephalopathya. PML is a rare demyelinating CNS disorder caused by the reactivation of JC virus.b. The virus stays latent in the kidneys and lymphoid organs until reactivation.c. PML mainly occurs in adults with impaired cell-mediated immunity, especially AIDS patients but also in those with lymphoproliferative and myeloproliferative disorders. Decreasing immunosuppression in non-AIDS patients with PML (e.g. Transplant patients).d. JCV causes lytic infection of oligodendrocytes in the white matter.e. Symptoms include altered mental status, aphasia, ataxia, hemiparesis or hemiplegia and visual filed disturbances, Seizures.f. Treatment: Risperidone and mirtazapine.Oligodendrocyte inclusion bodies are seen in PML